All of the following include grievous injuries, except
1. Loss of testes
2. Loss of an eye
3. Loss of a kidney
4. Abrasion of the face

Correct answer: 4. Abrasion of the face

Explanation: Section 320 IPC Grievous The following kinds of hurt only are designated as "Grievous": First - Emasculation Second - Permanent privation of the sight of either eye Third - Permanent privation of the hearing of either ear Fourth - Privation of any member or joint Fifth - Destruction or permanent impairing of the powers of any member or joint, Sixth - Permanent disfiguration of the head or face Seventh - Fracture or dislocation of a bone or tooth, Eighth -Any hurt which endangers life or which causes the sufferer to be during the space of twenty days in severe bodily pain, or unable to follow his ordinary pursuits Ref : Krishnan vij Textbook of Forensic medicine and Toxicology 5th edtion ; pg no -207